7th, 8th cranial nerve injury occurs in:
1. Anterior cranial fossa fracture.
2. Middle cranial fossa fracture.
3. Posterior cranial fossa fracture.
4. None.

Correct answer: 2. Middle cranial fossa fracture.